Loosening of association is an example of -
1. Formal thought disorder
2. Schneider's first symptoms
3. Perseveration
4. Concrete thinking

Correct answer: 1. Formal thought disorder

Explanation: Ans. is 'a' i.e., Formal thought disorder Thought disordersFormal thought disorders (Disorders of thought process)Disorders of thought contenti) Racing thoughts :- Anxiety, Schizophreniaii) Retarded thoughts :- Depressioniii) Circumstantiality :- Mania, Schizophreniaiv) Thought blocking :- Schizophrenia, Severe anxietyv) Perseveration :- Organic brain disease, Schizophrenia ( occasionally)vi) Loosening of association :- Schizophreniavii) Flight of ideas:- Maniaviii) Tangentialityix) Clunging & punning :-Mania & schizophreniax) Neologism, word salad, Echolalia :-Schizophreniai) Delusion :- Psychosis (Schizophrenia, mania, depression & othersii) Obsessioniii) Compulsioniv) Preoccupationsv) Phobiasvi) Depersonalization & Derealizationo In schizophrenia and mood disorders (depression, mania) all parts of the thought (thought process as well as content) are involved.o However, schizophrenia is conventionally referred as formal thought disorder.